Bernoulli's theorem explains -
1. Nasal polyp
2. Thyroglossal cyst
3. Zenker's diverticulum
4. Laryngomalacia

Correct answer: 1. Nasal polyp

Explanation: The increased speed of the air flowing through the nose decreases the pressure in the nasal cavity (Bernoulli's theorem) which pulls down the polyp.